. A patient has loss of sensation at angle of mandible (jaw) and parotid area. Which of the following nerve is most likely to be injured.
1. Mandibular nerve
2. Auriculotemporal nerve
3. Lesser occipital nerve
4. Greater auricular nerve

Correct answer: 4. Greater auricular nerve

Explanation: D i.e. Great auricular nerve Angle of mandible is supplied by great auricular nerve (C2,3)Q Tip of nose is supplied by ophthalmic division of trigeminalQ; and side and alae of nose is supplied by maxillary division of trigeminal nerveQThe skin of face is supplied by three divisions of trigeminal nerve, except for the small area over the angle of mandible and parotid gland which is supplied by great auricular nerveQ (C2, C3)Spatial representation of face in spinal nucleus of trigeminal nerve (particularly for pain) is more akin to an onion skin pattern with fibers from central area of face reaching the highest (cranial) part of nucleus & fibers from more posterior part passing to progressively lower (caudal) levels of nucleus.